Which of the following statements about hair follicles is true?
1. They are always associated with an eccrine sweat gland
2. They are present in thin skin but not in thick skin
3. Their associated Arrector pili muscle is composed of striated fibers
4. Their hair shaft inserts into the papillary layer of the epidermis

Correct answer: 2. They are present in thin skin but not in thick skin

Explanation: Hair follicles are present only in thin skin. They are associated with sebaceous glands and errector pili smooth muscle bundles.